Which of the following penicillins is effective against pseudomonas?
1. Piperacillin
2. Amoxycillin
3. Ampicillin
4. Oxacillin

Correct answer: 1. Piperacillin

Explanation: Ureidopeniclllins Piperacillin This antipseudomonal penicillin is about 8 times more active than carbenicillin. It has good activity against Klebsiella and is used mainly in neutropenic/ immunocompromised patients having serious gram-negative infections, and in burns. Elimination tlh is 1 hr. Concurrent use of gentamicin or tobramycin is advised. ESSENTIALS OF MEDICAL PHARMACOLOGY K.D.TRIPATHI SIXTH EDITION PAGE NO:702